All of the following parasites causes malabsorption, EXCEPT:
1. Giardiasis
2. Ascaris lumbricoides
3. Strongyloides
4. Capillaria philippinensis

Correct answer: 2. Ascaris lumbricoides

Explanation: Parasites causing malabsorption are Giardia lamblia E.histolytica Strongyloides Cyclospora Capillaria philippinensis Adult Ascaris are large: females are 20-50 cm long, and males are 15-30 cm long. Humans acquire the infection after eggs are ingested; larvae hatch in the duodenum, penetrate through the mucosa, migrate in the circulatory system, lodge in lung capillaries, penetrate the alveoli, and migrate from the bronchioles to the trachea and pharynx; larvae are swallowed and return to the intestine and mature into adults. If present in high numbers, adult worms may cause mechanical obstruction of the bowel and bile and pancreatic ducts. Worms tend to migrate if drugs such as anesthetics or steroids are given, leading to bowel perforation and peritonitis, anal passage of worms, vomiting, and abdominal pain. Larvae migrating through lungs induce an inflammatory response (pneumonitis), especially after second infection, leading to bronchial spasm, mucus production, and Loeffler syndrome (cough, eosinophilia, and pulmonary infiltrates). It does not cause malabsorption.